All agents can be given for induction of anesthesia in children except:
1. Halothane
2. Sevoflurane
3. Morphine
4. N20

Correct answer: 3. Morphine

Explanation: C i.e. Morphine - Intravenous route is most preferred method for induction in childrenQ because it provides overall better control of anesthesia & less chances of aspiration. The only problem is that it is difficult to put IV line. Sevoflurane is inhalational agent of choice for inductioin of anesthesia in pediatric (and adult) patients, because of rapid onset of action & nonpengency Q. It can be used safely in hepatitis & intestinal obstructionQ. Desflurane & isoflurane are more pungent and are associated with more coughing, breath holding & laryngeal spasm during inhalational inudction, so not used as first choice. -Methoryflurane is highly nephrotoxic so not preferred Infants and elderly are more susceptible to respiratory depressant action of morphine (KDT). In infants this is d/t poorly developed respiratory centre.